Lesion in the optic chiasma causes -
1. Bitemporal hemianopia
2. Upper nasal
3. Lower nasal
4. Homonymous hemianopia

Correct answer: 1. Bitemporal hemianopia

Explanation: Ans. is 'a' i.e., Bitemporal hemianopia Site of lesionVisual field defectOptic nerveBlindnessOptic chiasmaBitemporal hemianopiaOptic tractIncongruent homonymous hemianopiaLateral geniculate bodyHomonymous hemianopiaOptic radiation (Total)Homonymous hemianopia, sometimes with macular sparingOptic radiation lower fibres (temporal lobe)Homonymous upper quadrantanopiaOptic radiation upper fibres (parietal lobe)Homonymous lower quadrantanopiaVisual cortex (anterior occipital cortex)Homonymous hemianopia with macular sparingOccipital cortex tipHomonymous macular defect